A 40yr old male presenting with URTI, hemoptysis and has elevated cANCA value is most likely having
1. Churg strauss syndrome
2. Wegner's granulomatosis
3. Microscopic polyangitis
4. Good Pasteurs syndrome

Correct answer: 2. Wegner's granulomatosis

Explanation: Ans: b) Wegner's granulomatosis Wegner's granulomatosis is a necrotizing vasculitis characterized by:i) Acute necrotizing granuloma of URT/LRTii) Necrotizing vasculitis involving small to medium vesselsiii) Renal disease - focal necrotizing crescentic glomerulitiscANCA is positive in 95% of all patients with acute generalized disease. Arise in titre suggest relapse.cANCA typically found in Wegner's granulomatosispANCAMicroscopic polyangitisChurg strauss syndromeGood pasteur's syndromeIdiopathic crescentic glomerulonephritis